Disaccharides are digested mostly in
1. Oraheavity
2. Stomach
3. Small intestine
4. Large intestine

Correct answer: 3. Small intestine

Explanation: Disaccharides are mainly digested in small intestine.Ref: Ganong's review of medical physiology 23rd edition Page no: 452